A pregnant 21-year-old Rh-negative female is about to deliver. The baby's father is determined to be Rh-positive. To reduce the chance for the development of hemolytic disease of the newborn, which of the following procedures should you order?
1. Administration of anti-Rh antibodies to the fetus postdelivery
2. Administration of anti-Rh antibodies to the mother postdelivery
3. Immediate blood transfusion of the suspected father
4. Immediate blood transfusion of the mother with Rh-positive blood

Correct answer: 2. Administration of anti-Rh antibodies to the mother postdelivery

Explanation: Anti-Rh antibodies (IgG are reactive at 98.6degF ) are the leading cause of hemolytic disease of the newborn (HDN). Currently, Rh immunization can be suppressed in antepartum or postpartum Rh-women if high-titer anti-Rh immunoglobulin (Rh Ig) is administered within 72 hours after the potentially sensitizing dose of Rh+ cells (i.e., the birth of the child). The other choices will do nothing to prevent the development of HDN in future pregnancies.